Sudeck's atrophy is more common in:
1. Malunited Colles' fracture
2. Malunited fracture femur
3. Pott's fracture
4. Carries spine

Correct answer: 1. Malunited Colles' fracture

Explanation: A i.e. Malunited colle's fracture